Increased Alveolar arterial difference in PaO2 is seen in all except?
1. COPD
2. Pulmonary Edema
3. GBS
4. Interstitial Lung Disease

Correct answer: 3. GBS

Explanation: GBS is extra-parenchymal restrictive lung disease, so P(A - a)O2 is normal.